Which of the following short-acting selective betablocker drug is used in the management of arrythmia:
1. Carvedilol
2. Esmolol
3. Celiprolol
4. Bisoprolol

Correct answer: 2. Esmolol

Explanation: Ans. B: Esmolol Esmolol is a cardioselective beta-1 receptor blocker with rapid onset, a very short duration of action, and no significant intrinsic sympathomimetic or membrane stabilising activity at therapeutic dosages. It is a class II antiarrhythmic. Esmolol decreases the force and rate of heart contractions by blocking beta-adrenergic receptors of the sympathetic nervous system, which are found in the heart and other organs of the body. Esmolol prevents the action of two naturally occurring substances: epinephrine and norepinephrine.